Metastatic tumour causing spinal cord compression are all EXCEPT:
1. Lung carcinoma
2. Breast carcinoma
3. Lymphoma
4. Meningioma

Correct answer: 4. Meningioma

Explanation: Ans. D i.e. Meningioma